All of the following are tumor necrosis factor blocking agents, except -
1. Adalimumab
2. Etanercept
3. Infliximab
4. Abciximab

Correct answer: 4. Abciximab

Explanation: Ans. is 'd' i.e., Abciximab